Bennett angle is formed between sagittal plane and the average path of the advancing condyle as viewed in horizontal plane during
1. Medial movement
2. Lateral movement
3. Centric freedom
4. Inter-cuspal movement

Correct answer: 2. Lateral movement